3 year old female child develops umblicated nodule over face, following a trivial infection. Probable diagnosis –
1. Molluscum contagiosum
2. Scabies
3. Chicken pox
4. L. planus

Correct answer: 1. Molluscum contagiosum

Explanation: Molluscum contagiosum → In children.
Sebaceous gland hyperplasia  → In adults.